Arch of aorta develops from which aorta arch artery
1. Right 1st
2. Right 3rd
3. Left 4th
4. Left 3rd

Correct answer: 3. Left 4th

Explanation: HUMAN EMBRYOLOGY-INDERBIR SINGH TENTH EDITION-PAGE NO:254The arch of aorta is derived from the ventral part of the aortic sac(1), its left horn (2)and the left fourth artery(3)